Which of the following occurs during scar formation?
1. Deposition of type I and type III collagen
2. Type III collagen replaces type I collagen
3. Type I collagen replaces type III collagen
4. None of the above

Correct answer: 3. Type I collagen replaces type III collagen

Explanation: Granulation tissue has both type I and Type III collagen. But in scar tissue Type I collagen replaces type III collagen.